20 year old male from Jaipur with erythematous lesion on cheek with central crusting likely diagnosis is –
1. SLE
2. Lupus vulgaris
3. Chillblain
4. Cutaneous leishmaniasis

Correct answer: 4. Cutaneous leishmaniasis

Explanation: This patient has -

Erythematous lesion
On the face (cheek)
Central crusting
Diagnosis is cutaneous leishmaniasis.

Remember

In Lupus vulgaris, there is peripheral crusting and central scarring.
In cutaneous leishmaniasis, there is central crusting and scarring spares the centre.